EEG in a male fully awake with eyes closed, electrodes placed at occipital position will record
1. a waves
2. ss waves
3. g waves
4. d waves

Correct answer: 1. a waves

Explanation: In adult humans who are awake but at rest with mind wandering and the eyes closed, the most prominent component of the EEG is a fairly regular pattern of waves at a frequency of 8-13Hz and amplitude of 50-100uV when recorded from the scalp. This pattern is the alpha rhythm. It is most marked in the parietal and occipital lobes and is associated with decreased levels of attention. Ref: Ganong's review of medical physiology; 23rd edition ; pg :235